Which of the following is not a part of broad ligament ?
1. mesosalpinx
2. mesometrium
3. mesovarium
4. endometrium

Correct answer: 4. endometrium

Explanation: Some names given to subdivisions of the broad ligament they are - The ovary is attached to the posterior layers of the ligament through the mesovarium. The ligament of the ovary passes from the lower pole of the ovary to the lateral angle of the uterus. The part of the broad ligament lying between the uterine tube and the ovarian ligament of ovary is called the mesosalpinx, While the part below the ligament of ovary is called the mesometrium. Ref : B D Chaurasia's Human Anatomy , seventh edition , volume 2 , pg. no., 414,415.